Endogenous Depression is characterized by A/E
1. Loss of Self esteem
2. Guilt psychosis
3. Third person hallucination
4. Paranoid feeling

Correct answer: 3. Third person hallucination

Explanation: C i.e. Third person hallucination